Study of designing equipment and devices that fit the human body, it's movements and it's cognitive abilities is
1. Economics
2. Ergonomics
3. Bionomics
4. Socionomics

Correct answer: 2. Ergonomics

Explanation: Study of designing equipment and devices that fit the human body, it's movements and its cognitive abilities is ergonomics The object of ergonomics is " to achieve the best mutual adjustment of man and his work, for the improvement of human efficiency and well-being"Park 23e pg: 803